Following drugs have abuse liability except:
1. Buprenoprhine
2. Alprazolam
3. Fluoxetine
4. Dextropropoxyphene

Correct answer: 3. Fluoxetine

Explanation: SSRIs do not have any abuse liability. Both opioids (buprenorphine, dextropropoxyphene) and benzodiazepines (Alprazolam) have abuse liability.